A patient was asked, what will he do, if he sees a house catching fire. What is being tested-
1. Personal judgement
2. Social judgement
3. Test judgement
4. Insight

Correct answer: 3. Test judgement

Explanation: Judgement: It's a higher mental function. It is a capability of taking a decision according to the situation or circumstances. Test judgement testing: Provide the person with a test judgement situation e.g. house on fire test. Personal judgement testing: Judgement about the person's own personal life. Social judgement testing: The person's interaction in a social manner.